In a couple, initial work - up done for infertility:
1. Semen analysis, CXR, montoux
2. Semen analysis, Tubal patency test, Ovulation test
3. Ovulation, tubal patency, Montoux test
4. Testicular biopsy, USG, Sperm penetration test

Correct answer: 2. Semen analysis, Tubal patency test, Ovulation test

Explanation: Order for initial work- up for infertility Semen analysis Ovulation test Tubal patency Note: Tubal patency test is done by 2 ways HSG (initial test) Laparoscopy with Chromopertubation(Confirmatory)